A mother who does NOT encourage her child to cope up
with new situations thereby making him shy and timid is
an example of an
1. Overprotective mother
2. Under affectionate mother
3. Authoritarian mother
4. Rejecting mother

Correct answer: 1. Overprotective mother